Which of the following laryngeal cartilage is hyaline -
1. Epiglottis
2. Corniculate
3. Cricoid
4. Cuneiform

Correct answer: 3. Cricoid

Explanation: Ans. is 'c' i.e., Cricoid Hyaline cartilagesElastic cartilages (do not ossify)o Thyroid cartilageo Epiglottiso Cricoid cartilageo Corniculateo Basal part of arytenoid cartilageo Cuneiform o Processes of arytenoid